Which of the following enzymes stimulate the production of cAMP?
1. Acetylcholine
2. Angiotensin II
3. Somatostatin
4. Calcitonin

Correct answer: 4. Calcitonin

Explanation: Cyclic AMP was the first intracellular second messenger signal identified in mammalian cells. Different peptide hormones can either stimulate (s) or inhibit (i) the production of cAMP from adenylyl cyclase, which is encoded by at least nine different genes. Hormones that Inhibit Adenylyl Cyclase (HI) and the production of cAMP: Acetylcholine Alpha 2-Adrenergics Angiotensin II Somatostatin Hormones that stimulate Adenylyl Cyclase (HI) and the production of cAMP: Acetylcholine ADH Beta -Adrenergics Calcitonin CRH FSH Glucagon hCG LH LPH MSH PTH TSH Ref: Weil P. (2011). Chapter 42. Hormone Action & Signal Transduction. In D.A. Bender, K.M. Botham, P.A. Weil, P.J. Kennelly, R.K. Murray, V.W. Rodwell (Eds), Harper's Illustrated Biochemistry, 29e.